All of the following statements about Leukotriene modifiers in the management of bronchial asthma are true except :
1. May be used for acute asthma
2. May be used for exercise induced asthma
3. Zileuton is Leukotriene modifier
4. May uncover Churg Strauss syndrome

Correct answer: 1. May be used for acute asthma

Explanation: Answer is A (May be used for cute asthma): Leukotriene modifiers have no r le in aborting an attack of bronchial Asthma. Leukotriene Modifiers: These are new group of agents uaed for asthma and act by modifying the role of leukotrienes which are critical in the pathway of generating features of asthma. Action Leukotrienes are responsible for many of the critical elements of asthma Leukotriene modifiers act by two mechanisms to disable the deleterious effects of leukotrenes Reduce synthesis of all Leukotrienes by inhibiting enzyme involved in their formation i.e. 5 \\Lipooxygenase Zileuton Competitive blockage of principal leukotriene (LTD 4) Montelukast or Zafirulukast Uses Used as alternative to low dose inhaled corticosteroids in patients with mild persistent asthma reduces asthma morbidity diminishes nocturnal symptom Used for protection against exercise induced Asthma. Side effects: Leukotriene blockers have been associated with Churg-Strauss Syndrome e